A newborn baby develops cyanosis on day three of life. On auscultation, there is a systolic murmur. Echocardiography reveals a cyanotic heart disease in the baby. Which one of the following drugs can be intervention -administered to prolong the life of the baby pending intervention –
1. Indomethacin
2. Ibuprofen
3. Prostaglandin E1
4. Propanolol

Correct answer: 3. Prostaglandin E1